The commonest clinical pattern of basal cell carcinoma is
1. Nodular
2. Morpheaform
3. Superficial
4. Keratotic

Correct answer: 1. Nodular

Explanation: .basal carcinomas are composed of islands of basaloid cells ( like cells of basal layer of epidermis) with palisading of cells at the periphery and a haphazard arrangement of those in the centres of the islands . the tumour cells have a hypochromatic nucleus with relatively poorly defined cytoplasm they spread by local invasion . lymphatic spread is not seen so regional lympnodes are not enlarged they are diagnosed using wedge biopsy most common site is inner canthus of eye also called tear cancer they show a nodular pattern